Who worked on dreams and wrote a book "interpretation of Dreams"
1. Sigmund Freud
2. Eric Ericson
3. Carl Jung
4. Adolf Meyer

Correct answer: 1. Sigmund Freud

Explanation: Sigmund Freud wrote the book 'The Interpretation of Dreams' which was published in 1900.